Which of the following doesn't increase the risk of Ca breast?
1. Nulliparity
2. Multiparity
3. Female sex
4. Women who avoid breast feed

Correct answer: 2. Multiparity

Explanation: Family history of Ca breast in first degree relatives is also a risk factor for Ca breast. Ref: Manipal Manual of Surgery, Page 260.